Routine pelvic examination is contraindicated in:
1. Carcinoma cervix
2. Cord prolapse
3. Placenta previa
4. PIH

Correct answer: 3. Placenta previa

Explanation: Placenta previa